Ceruminous glands are modified
1. Eccrine glands
2. Apocrine glands
3. Sebaceous glands
4. Holocrine glands

Correct answer: 2. Apocrine glands

Explanation: Cartilaginous part of an external auditory meatusThe skin covering it is thick and has ceruminous glands (modified apocrine sweat glands), pilosebaceous glands and hair. Since hair is confined to cartilaginous part, furuncle is seen only is the outer third of the canal.Ref: PL Dhingra, Diseases of Ear, Nose & Throat, 7th edition, pg no. 3